The following structure does not pass through flexor retinaculum?
1. Ulnar N.
2. Median N.
3. Flexor digitorum profundus
4. Flexor digitorum superficialis

Correct answer: 1. Ulnar N.

Explanation: Flexor retinaculum (transverse carpal ligament) forms a roof over the concavity created by the carpal bones, forming a tunnel (i.e., the carpal tunnel). The median nerve and the tendons of the flexor digitorum superficialis, flexor digitorum profundus, and flexor pollicis longus muscles, and their associated synovial sheaths, pass through this tunnel. The flexor retinaculum anchors medially to the pisiform and the hook of the hamate. Laterally, the flexor retinaculum is anchored to the scaphoid and trapezium. Ref: Morton D.A., Foreman K.B., Albertine K.H. (2011). Chapter 33. Hand. In D.A. Morton, K.B. Foreman, K.H. Albertine (Eds), The Big Picture: Gross Anatomy.